Scrub typhus is transmitted by:
1. Louse
2. Tick
3. Mite
4. Milk

Correct answer: 3. Mite

Explanation: Ans. C i.e. Mite